Safety muscle of larynx:
1. Lateral cricoarytenoid
2. Transverse arytenoid
3. Posterior cricoarytenoid
4. Cricothyroids

Correct answer: 3. Posterior cricoarytenoid

Explanation: During forced inspiration, both parts of the rima are triangular, so that the entire rima is lozenge shaped; the vocal cords are fully abducted and we all know that muscles which open the glottis, are posterior cricoarytenoids. So in one way we can consider them as safety muscles which help in respiration (forced inspiration)